Isolation is done in following case/s -
1. T.B.
2. Cholera
3. Measles
4. All

Correct answer: 4. All

Explanation: Ans. is `a' i.e., TB; 'b' i.e., Cholera; 'c' i.e., Measles Periods of isolation recommended Disease Duration of isolation Chickenpox Until all lesions cursted; usually about 6 days after onset of rash Measles From the onset of catarrhal stage through 3rd day of rash German measles Non, except that women in the first trimester or sexually active, non immune women in child-bearing years not using contraceptive measures should not be exposed. Cholera, diphtheria 3 days after tetracyclines started, until 48 hours of antibiotics (or negative culturs after treatment) Shigellossis Until 3 consecutive negative stool cultures. Salmonellosis Hepatitis A 3 weeks Influenza 3 days after onset Polio 2 weeks adult, 6 weeks paediatric. Tuberculosis Until 3 weeks of effective chemotherapy (sputum +) Herpes zoster 6 days after onset of rash Mumps Until swelling subsides Pertussis 4 weeks or until paroxysms cease Meningococcal miningtitis Until the first 6 hours of effective Streptococcal antibiotic therapy are completed Pharyngitis o Isolation has failed in the control of disease such as leprosy, TB & STD. In the control of these diseases, the concept of physical isolation has been replaced by chemical isolation, i.e., rapid treatment of cases in their own-homes and rendering them non-infectious as quickly as possible.